All of the following about LSD intoxication are true except -
1. Panic
2. Confusion
3. Hypereflexia
4. Treatment is phenothiazines

Correct answer: 4. Treatment is phenothiazines

Explanation: Drug of choice for LSD intoxication is Diazepam. Neuroleptics (e.g. phenothiazines) may have psychomimetic effects and thus are not indicated in patients with LSD intoxication.